First step in management of raised intracranial pressure-
1. Airway maintenance
2. Breathing
3. mannitol
4. Loading dose of epsolin

Correct answer: 1. Airway maintenance

Explanation: Ans. (a) Airway maintenanceRef: Schwartz 10th 1713* Initial Management of intracranial hypertension includes; airway protection and adequate ventilation